Raspberry tumour is -
1. Neoplastic
2. Inflamatory
3. Traumatic
4. Congenital

Correct answer: 4. Congenital